BRCA-1 gene lies on Chromosome:
1. 17
2. 18
3. 20
4. 21

Correct answer: 1. 17

Explanation: 17